A young male patient presented to OPD with urethral discharge. On urine examination pus cells were found but not organisms. Which method would be the best for culture
1. McCoy cell line
2. Thayer Main medium
3. PPLO broth
4. Cooked meat medium

Correct answer: 1. McCoy cell line

Explanation: Ans. a. McCoy cell line Urine examination in a patient of urethral discharge demonstrating only pus cells but no gram-negative diplococcic suggest "non-gonococcal urethritis". The most common cause of non-gonococcal urethritis is Chlamydia trachomatis. Chlamydia trachomatis is cultured on McCoy cells, HeLa cells or Hep-2 cells. Culture Media Organism McCoy cell line ChlamydiaQ Thayer Main medium NeisserieQ PPLO broth MycoplasamQ Cooked meat medium Cooked meat mediumQ Organisms causing Non-gonococcal Urethritis Chlamydia trachomatis (MC) Q Gardnerella vaginalisQ Urea plasma urealyticumQ Candida albicans Mycoplasma genitaliumQ Trichomonas vaginalis Herpes virusQ Mechanical or chemical iinitation CMVQ